Coronary sinus opens into:
1. IVC
2. Right atrium
3. Left atrium
4. Great cardiac vein

Correct answer: 2. Right atrium

Explanation: B - B.D. Chaurasia, Vol.l 4,h ed, p. 251